1.The 68 year old Chandu is a diabetic and presented with black,foul smelling discharge from the nose.Examination revealed blackish discoloration of the inferior turbinate.The diagnosis is:
1. Mucormycosis
2. Aspergillosis
3. Infarct of inferior turbinate
4. Foreign body

Correct answer: 1. Mucormycosis

Explanation: MUCORMYCOSIS It is fungal infection of nose and paranasal sinuses which may prove rapidly fatal. I It is seen in uncontrolled diabetics or in those taking immunosuppressive drugs. From the nose and sinuses, infection can spread to orbit, cribriform plate, meninges and brain. The rapid destruction associated with the disease is due to affinity of the fungus to invade the arteries and cause endothelial damage and thrombosis. Typical finding is the presence of a black necrotic mass filling the nasal cavity and eroding the septum and hard palate. Special stains help to identify the fungus in tissue sections. Treatment is by amphotericin B and surgical debridement of the affected tissues and control of underlying predisposing cause. Ref : Dhingra 7e pg 178.